Pregangrene is
1. Ulceration
2. Hyperaesthesia
3. Putrefaction
4. Mummification

Correct answer: 2. Hyperaesthesia

Explanation: Pregangrene is changes in tissue which indicates that blood supply is inadequate to keep tissues alive and presents with rest pain, colour changes, oedema, hyperaesthesia.